Trismus in parapharyngeal abscess is caused by spasm of which of the following muscle?
1. Medial pterygoid
2. Lateral pterygoid
3. Masseter
4. Temporalis

Correct answer: 1. Medial pterygoid

Explanation: Parapharyngeal space - It is pyramidal in shape . base at base of skull and apex at hyoid bone Its divided into two components anterior & posterior. The trismus is seen in the anterior compartment parapharyngeal abscess and it is due to spasm of the medial pterygoid muscle.